Most common carcinoma caused by Cirrhosis.
1. HCC
2. Fibrolamellar carcinoma
3. Hepato blastoma
4. Pancreatic cancer

Correct answer: 1. HCC

Explanation: Ans. (a) HCCRef: Sabiston 20th edition Page 1458* Cirrhosis leads to HCC.* High rate of HCC formation is seen in - HBV infection, Hemochromatosis* Low rate of HCC formation is seen in - Alcohol, Primary Biliary Cirrhosis* Cirrhosis with high DNA replication rates have increased risk of cancer liver